Angiotensin II receptor antagonist is
1. Perindopril
2. Enalapril
3. Benazepril
4. Losartan

Correct answer: 4. Losartan

Explanation: (Losartan) (453-54-KDT) (469-70-BB) (488-KDT6th)I. ACE-Inhibitors - Captropril, Enalapril, Lisinopril, benazepril, ramipril, perindopril (Available in India)* Quinapril, cilazapril, Zolfenopril, fosinopril (Marketed in other countries)II. Angiotensin Antagonists* Losartan, Candesartan and Irbesartan (Available in India)* Valsartan, telmisartan and eprosartan (Marketed elsewhere)